The connective tissue cells of pulp are derived from
1. The pool of undifferentiated mesenchymal cells
2. The pool of fibroblasts
3. The pool of undifferentiated ectodermal cells
4. The pool of osteoblasts

Correct answer: 1. The pool of undifferentiated mesenchymal cells